Hyperviscosity is seen in all; except
1. Cryoglobulinemia
2. Multiple myeloma
3. MGUS
4. Lymphoma

Correct answer: 3. MGUS

Explanation: Hyperviscosity is seen in

Multiple myeloma
Lymphoplasmacytic lymphoma (Waldenstrom’s macroglobulinemia)
Cryoglobulinemia
Myeloproliferative disorders

MGUS (Monoclonal Gammopathy of uncertain significance):

Here, M Protein can be identified in the serum of 1% of healthy individual >50 years of age and 3% in older than 70 yrs. It is the most common form of monoclonal gammopathy. In MGUS, less than 3g/dL of monoclonal protein is present in serum and there is no Bence Jones proteinuria.